Surveillance is:
1. Monitoring of activity of health workers
2. Continuous monitoring of occurrence and distribution of a disease
3. Monitoring of trends of a disease
4. Related to the virulence of the organism

Correct answer: 2. Continuous monitoring of occurrence and distribution of a disease

Explanation: Ans. B: Continuous monitoring of occurrence and distribution of a disease